Which of following is a proton pump inhibitor ?
1. Magnesium carbonate
2. Ranitidine
3. Omeprazole
4. Sucralfate

Correct answer: 3. Omeprazole

Explanation: Ans. is 'c' i.e., Omeprazole